Impedance audiometry is done using frequency probe of-
1. 220 Hz
2. 555 Hz
3. 440Hz
4. 1000 Hz

Correct answer: 1. 220 Hz